All are habit disorders except:-
1. Nail biting
2. Thumb sucking
3. Temper tantrum
4. Bruxism

Correct answer: 3. Temper tantrum

Explanation: - Temper tantrums & breath holding spells- age typical expressions of frustration or anger. Habit disorders- pattern of behavior that is repeated often (nail biting, thumb sucking, bruxism)